Osteomalacia is associated with- DELETE
1. Decreses in osteoid volume
2. Decrease in osteoid surface
3. Increase in osteoid maturation time
4. Increase in mineral apposition rate

Correct answer: 3. Increase in osteoid maturation time

Explanation: *In rickets/osteomalacia mineralization of osteoid is defective, i.e, osteoid formation is normal,but mineralization of osteoid is defective. Ref: Maheshwari 6th/e p.312